The progesterone of choice for emergency contraception is :
1. Norethisterone
2. Medroxyprogesteroneacetate
3. Levonorgesterel
4. Desogestrel

Correct answer: 3. Levonorgesterel

Explanation: Ans. is c i.e. Levonergesterol The progeserone of choice for emergency contraception is Levonorgesterel. Dose of Levonergesterol for emergency contraception= 0.75mg Adavntages It has no estrogenic side effects Can be given to hypertensive, cardiac and diabetic women. Can be given to lactating women Single dose therapy (i.e. 2 tablets taken as a single dose) can be given. It is contraindicated in women with H/O thrombophelebitis and migraine.